Anomaloscope is used to detect:
1. Squint
2. Retinopathy
3. Congenital glaucoma
4. Colour blindness

Correct answer: 4. Colour blindness

Explanation: Nagel's anomaloscope. In this test, the observer is asked to mix red and green colour in such a proportion that the mixture should match the given yellow coloured disc. The judgement about the defect is made from the relative amount of red and green colours and the brightness setting used by the observer. Utility-Colour quantification